Ureteric peristalsis is due to intact supply of
1. Sympathetic innervation
2. Parasympathetic innervation
3. Both sympathetic and parasympathetic
4. Intrinsic smooth muscle pacemaker activity of renal calyces.

Correct answer: 4. Intrinsic smooth muscle pacemaker activity of renal calyces.

Explanation: Ans. is 'd' i.e. Intrinsic smooth muscle pacemaker activity of renal calyces The walls of the ureter contains smooth muscle cells and are innervated by both sympathetic and parasympathetic nerves as well as by an intramural plexus of neurons and nerve fibres that extend along the entire length of the ureters.Specialized type of smooth muscle cells are present in renal pelvis and calyces. These cells are capable of spontaneous contractility and perform a pacemaker function which is responsible for the initiation of ureteric peristalsis. These inherent pacemakers are activated by stretching of the renal calyces and pelvis by urine.As with any other visceral smooth muscle peristaltic contraction in the ureter are enhanced by parasympathetic stimulation and inhibited by sympathetic stimulation.